SAMPLE history involves all except :
1. Allergies
2. Personal history
3. Last oral intake and menstruation.
4. Past medical history.

Correct answer: 2. Personal history

Explanation: SAMPLE history is a mnemonic acronym used in assessment of a person/patient in field of emergency medicine by police officers and EMTs, often used in conjunction with the vital signs. AMPLE history is a derivative of SAMPLE history which places a greater emphasis on a persons medical history. Mnemonic goes as follows:
S: Signs and Symptoms
A: Allergies
M: Medications
P: Past medical history, injuries, illnesses
L: Last oral intake and menstruation
E: Events leading up to injury or illnesses